Most common nerve to be damaged in dislocation of shoulder is :
1. Axillary nerve
2. Radial nerve
3. Median nerve
4. Musculocutaneous nerve

Correct answer: 1. Axillary nerve

Explanation: A i.e. Axillary Nerve